The approximate amount of air left in the lungs after maximal forced expiration in a normal woman is
1. 0.5 L
2. 2.0 L
3. 1.1 L
4. 1.8 L

Correct answer: 3. 1.1 L